Most common germ cell ovarian tumor:
1. Dysgerminoma
2. Teratoma
3. Endodermal sinus tumor
4. Clear cell tumor

Correct answer: 2. Teratoma

Explanation: Ans. (b) TeratomaRef Williams Gynae 1st ed. Ch 36* Germ cell tumors arise from the ovary's germinal elements and comprise a third of all ovarian neoplasms.* The mature cystic teratoma, also called dermoid cyst, is by far the most common subtype. This accounts for 95% of all germ cell tumors and is clinically benign.* In contrast, malignant germ cell tumors comprise fewer than 5 percent of malignant ovarian cancers in Western countries and include dysgerminoma, yolk sac tumor; immature teratoma, and other less common types.Also Know* Overall, MC ovarian tumor: Epithelial cell tumor* Overall, MC benign tumor of the ovary: Dermoid cyst* MC benign epithelial tumor of the ovary: Serous cystadenoma* MC malignant ovarian tumor: Serous cystadenocarcinoma* MC germ cell tumor: Mature Teratoma (Dermoid Cyst)* Most common ovarian tumor associated with pregnancy: Dermoid Cyst* Most common ovarian tumor which undergo torsion: Dermoid cyst* MC malignant germ cell tumor: Dysgerminoma* Ovarian tumor mostly in young age: Dysgerminoma* Ovarian tumor metastasized to contralateral